Change noticed in diastolic blood pressure in pregnancy is:
1. Decline of 10-20 mm of Hg
2. Decline of 5-10 mm of Hg
3. Elevation of 10-20 mm of Hg
4. Elevation of 5-10 mm of Hg

Correct answer: 2. Decline of 5-10 mm of Hg

Explanation: Ans. B: Decline of 5-10 mm of Hg Systemic blood pressure declines slightly during pregnancy. There is a little change in systolic blood pressure, but diastolic pressure is reduced (5-10mm Hg) from about 12-26 weeks. Diastolic pressure increases thereafter to prepregnancy levels by about 36 weeks. The obstruction posed by the uterus on the inferior vena cava and the pressure of fetal presenting part on the common iliac vein can result in decreased blood return to the heart. This decreases cardiac output, leads to a fall in blood pressure, and causes edema in the lower extremities. Peripheral resistance equals blood pressure divided by cardiac output. Because blood pressure either decreases or remain the same during pregnancy and cardiac output increases appreciably, there is good evidence that peripheral resistance declines markedly.